Kyanasur forest disease is transmitted by ?
1. Haema physalis spinigera
2. Culex vishnui
3. Aedes
4. Anopheles

Correct answer: 1. Haema physalis spinigera

Explanation: Ans. is 'a' i.e., Haemophysalis o Vector for KFD --> Hard tick, i.e., haempophysalis spinigra and tuura. o Infection is transmitted by tick bite especially in nymphal stages. o Man is incidental and dead end host --> No man to man transmission.